In primary tuberculosis, all of the following may be seen except:
1. Cavitation
2. Caseation
3. Calcification
4. Langhans giant cell

Correct answer: 1. Cavitation

Explanation: Cavitation is seen when there has been a previous sensitization of the host resulting in caseous necrotic material being present which is discharged through the cavities. So, it is associated with secondary tuberculosis more frequently.